Least hepatotoxic anti TB drug is :
1. Ethambutol
2. Rifampicin
3. Pyrazinamide
4. Isoniazid

Correct answer: 1. Ethambutol